Endoscope tube is sterilized by?
1. Glutaraldehyde
2. Formalin
3. Autoclaving
4. Boiling

Correct answer: 1. Glutaraldehyde

Explanation: Ans. is 'a' i.e., Glutaraldehyde 2% Glutaraldehyde (cidex) is most often used for equipment such as endoscope that cannot be sterilized or disinfected by heat.